A known patient with renal stone disease developed pathological fracture along with abdominal pain and certain psychiatric symptoms.
He should be investigated for
1. Polycystic kidney
2. Renal tubular acidosis
3. Hyperparathyroidism
4. Paget's disease of bone

Correct answer: 3. Hyperparathyroidism